Sakaguchi’s reaction is specific for
1. Tyrosine
2. Proline
3. Arginine
4. Cysteine

Correct answer: 3. Arginine

Explanation: Sakaguchi’s Test for Arginine : Free arginine or arginyl residues in proteins react with alpha-naphthol and alkaline hypobromite to give bright-red color. This is due to the guanidium group.
Reference: Vasudevan 7th  ed, pg 32